Which of the following is the most common manifestation of hemophilla?
1. Hemoptysis
2. Hemarthrosis
3. Hematemesis
4. Mucosal bleeding

Correct answer: 2. Hemarthrosis

Explanation: Ref. Robbins Pathology. 9th edition. Page. 665